National Guinea worm Eradication Programme was launched in
1. 1972-73
2. 1975-76
3. 1980-81
4. 1983-84

Correct answer: 4. 1983-84

Explanation: National Guinea worm eradication programme:- Launched in 1984 with technical assistance from WHO. From the very beginning, the programme was integrated into the national health system at village level. With well-defined strategies, an efficient information and evaluation system, intersectoral coordination at all levels and close collaboration with WHO and UNICEF, India was able to significantly reduce the disease in affected areas. Strategies: 1. Health education activities with special emphasis on school children and women in rural areas. 2. Rumour registration and rumour investigation. 3. Maintenance of guinea worm disease on the list of notifiable disease and continuation of surveillance in previously infected areas. 4. Careful supervision of the functioning of hand pumps and other sources of safe drinking water. Reference - Park's textbook of preventive and social medicine, 23rd edition, pg no.476